A 50-year-old woman is referred by her family doctor because she suffers from depressive disorder. During the interview, she has difficulty in verbalizing her emotions. The phenomenon is best described as?
1. Ambivalence
2. Affective flattening
3. Alexithymia
4. Anhedonia

Correct answer: 3. Alexithymia

Explanation: Alexithymia is inability to express emotions of self and to understand those of others. Anhedonia is inability to take pleasure from previous pleasurable activities. Ambivalence is inability to decide motor movement Affective flattening is also known as emotional blunting in which person doesnot experience any emotion in response to external stimuli.